Laughing gas is:
1. Ketamine
2. Nitric oxide
3. Nitrous oxide
4. Methane

Correct answer: 3. Nitrous oxide

Explanation: Ans. C: Nitrous oxide Nitrous oxide is known as "laughing gas" due to the euphoric effects of inhaling it, a property that has led to its recreational use as a dissociative hallucinogen